NARP syndrome a disorder of
1. Lysosome
2. Mitochondria
3. Nucleus
4. Cytosol

Correct answer: 2. Mitochondria

Explanation: NARP syndrome is seen associated with mitochondrial disorders.NARP syndrome refers to Neurogenic weakness,Ataxia and Retinitis Pigmentosa. Mitochondrial disorders refer to defect in oxidation phosphorylation pathway,thereby interfering with energy production. Tissues such as brain,liver and kidney have high energy requirement and are susceptible to injury. Reference: Ghai TB of pediatrics 8th edition pg 659